Hexokinase is a
1. Transferase
2. Reductase
3. Oxidoreductase
4. Oxidase

Correct answer: 1. Transferase

Explanation: The International Union of Biochemistry (IUB) name of hexokinase is ATP:D-hexose 6-phosphotransferase E.C. 2.7.1.1. This name identifies hexokinaseas a member of class 2 (transferases), subclass 7 (transfer of a phosphoryl group), sub-subclass 1 (alcohol is the phosphoryl acceptor), and "hexose-6" indicates that the alcohol phosphorylated is on carbon six of a hexose.Ref: Harper's Biochemistry; 30th edition; Chapter 7; Enzymes: Mechanism of Action